Which of the following represents most dangerous situation:
1. Rh + ve mother, who is bearing 2nd Rh -ve child
2. Rh - ve mother, bearing her 2nd Rh + ve child
3. Rh + ye mother, bearing her 1st Rh -ve child
4. Rh — ye mover, bearing her 1st Rh + ye child

Correct answer: 2. Rh - ve mother, bearing her 2nd Rh + ve child